Genetic studies of a patient is positive for products of mic-2 gene. He may have the following condition:
1. Ewing's sarcoma
2. Osteosarcoma
3. Dermatofibroma protuberans D. Alveolar cell sarcoma
4. Alveolar cell sarcoma

Correct answer: 1. Ewing's sarcoma

Explanation: The presence of p30/32, the product of the mic-2 gene (which maps to the pseudoautosomal region of the X and Y chromosomes) is a cell-surface marker for Ewing's sarcoma (and other members of the Ewing's family of tumors, sometimes called PNETs). Glycogen-filled cytoplasm detected by staining with periodic acid-Schiff is also characteristic of Ewing's sarcoma cells. The classic cytogenetic abnormality associated with this disease (and other PNETs) is a reciprocal translocation of the long arms of chromosomes 11 and 22, t(11;22), which creates a chimeric gene product of unknown function with components from the fli-1 gene on chromosome 11 and ews on 22. Ref: Patel S.R., Benjamin R.S. (2012). Chapter 98. Soft Tissue and Bone Sarcomas and Bone Metastases. In D.L. Longo, A.S. Fauci, D.L. Kasper, S.L. Hauser, J.L. Jameson, J. Loscalzo (Eds), Harrison's Principles of Internal Medicine, 18e.